A patient with known mutation in the `RB gene' is `disease free' from Retinoblastoma. The patient is at highest risk of developing which of the following malignancies –
1. Renal cell carcinoma
2. Osteosarcoma
3. Pinealoblastoma
4. Chondrosarcoma

Correct answer: 2. Osteosarcoma

Explanation: Most common secondary tumor in survivors of retinoblastoma is osteosarcoma.